Alteplase is a/an -
1. Anticoagulant
2. Antplatelet
3. Fibrinolytic
4. Anti fibrinolytic

Correct answer: 3. Fibrinolytic

Explanation: Ans. is 'c' i.e., Fibrinolytic Drugs affecting the lysis of fibrin clot|| |Fibrinolytic drugs Antifibrinolytic drugso Streptokinaseo Alteplase (rt-PA)o Tenecteplaseo Urokinaseo Reteplaseo Recombinant prourokinaseo Epsilon aminocaproic acido Tranexaemic acido Aprotinin